Most abundant amino acids found in collagen;
1. Glycine
2. Proline
3. Hydroxyproline
4. Lysine

Correct answer: 1. Glycine

Explanation: Most abundant amino acids found in collagen is Glycine Collagen is the most abundant of all human proteins. Around 28 types of collagen are known. Type 1 is most abundant The fold in collagen is because of presence of Glycine. ADDITIONAL READING ON STRUCTURE OF COLLAGEN: Collagen is made up of 3 alpha- chains (not alpha helix). These 3 chains together make a superhelix --> Tropocollagen (a rope like triple helix) Superhelix (right-handed) is favoured by Glycine residues. Glycine has the smallest side chain so it fits into the restricted space where three chains of helix come together.